Slowest conduction of velosity occurs in
1. Atrial muscle
2. A.V. node
3. Purkinje fibre
4. Ventricular muscles

Correct answer: 2. A.V. node

Explanation: (A.V. node) (549 - Ganong 22nd) (487-488-K.S 4th) (492- Ganong 23rd)The velocity of impulse is maximum in purkinje fibres and minimum at AV nodeTissueConduction rate (m/s) (Ganong)K. Sembulingum* S A node0.05Intemodal fibres - l.0m/s* Atrial pathway1Atrial muscle = 0.3m/s* A V. node0.050.05 m/s* Bundle of His10.12 m/s* Purkinje system44 m/s* Ventricular muscle10.5 m/s